Virus growth in cell cultures can be detected by the following methods EXCEPT
1. Cytopathic effect
2. Transformation
3. Interference
4. Gram staining

Correct answer: 4. Gram staining

Explanation: D. i.e. (Gram staining) (440 -41 - Ananthanarayan 7th)* Detection of virus growth in cell culture bv following methods1. Cytopathic effect2. Metabolic inhibition3. Hemadsorption (Influenza, and Parainfluenza)4. Interference5. Transformation6. Immufluorescence* Three methods are employed for the cultivation of virus - 1 inoculation into animals, embryonated eggs or tissue culture.* Three types of tissue cultures are - organ culture, Explant culture, cell culture (Primary cell cultures,Diploid cell strains, continuous cell lines)**Plaque formation in a virus occurs because of - Infectivity of the virus**In reverse transcriptase polymerase chain reaction diagnosis is formed by - Retrovirus**** Syncytium formation is characteristic feature of cytopathic effect* Von-magnus-phenomenon - virus yield has high haemagglotination titre but low infectivity**